In conversion disorder, all of the following statements are true except:
1. Autonomic nervous system is involved
2. There is primary and secondary gain
3. La belle indifference is a feature
4. Patient does not intentionally produce symptoms

Correct answer: 1. Autonomic nervous system is involved

Explanation: Sensory and motor system are involved and not the autonomic nervous system. In dissociative(conversion) disorders , there is loss of integration of normal mental functions. Gains are of three types(Primary,Secondary and Tertiary) and all are unconsious La belle indifference - is lack of concern towards symptoms ,typically seen in Dissociative (Functional) Neurological Disorder.